MMR is expressed in :
1. Per 1000 live birth
2. Per 10000 live birth
3. Per 1 lakh live birth
4. Per 10 lakh live birth

Correct answer: 3. Per 1 lakh live birth

Explanation: Maternal mortality ratio is the number of maternal deaths per 1,00,000 live births. This is a ratio and not a rate because the numerator may include cases which are not included in the denominator. This ratio reflects the level of obstetric risk associated with pregnancy TEXTBOOK OF OBSTETRICS.,SHEILA BALAKRISHNAN,pg no:594,2nd edition